Corkscrew (Rosary) oesophagus is characteristically seen in
1. Achalasia cardia
2. Diffuse esophageal spasm
3. Reflux oesophagitis
4. Oesophageal carcinoma

Correct answer: 2. Diffuse esophageal spasm

Explanation: (B) Diffuse esophageal spasm # Diffuse oesophageal spasm, barium swallow shows that normal sequential peristalsis below the aortic arch is replaced by uncoordinated simultaneous contractions that produce the appearance of curling or multiple ripples in the wall, sacculations and pseudodiverticula--the "corkscrew" oesophagus or "rosary bead" oesophagus.> Corkscrew oesophagus is seen on barium.* It is seen in diffuse oesophageal spasm where there is in coordinate contractions of oesophagus.* There is marked hypentrephy of circular muscles.* Condition Achalasia cardia* Corresive stricture of oesophagus* Carcinoma oesophagus* Discription in barim radiology Bird's beak